What does "cardiac polyp" means ?
1. Acute infarct
2. Cardiac aneurysm
3. Benign tumour
4. Fibrinous clot

Correct answer: 4. Fibrinous clot

Explanation: Fibrinous clot "Postmortem fibrinous clot in the heart are called cardiac polyp". -Moral thrombus in the right/left atrium of the heart at the time of postmortem examination appears as pedunculated mass attached to the wall of the heart and main mass in the lumen of the cavity